Which of the following is found in higher concentrations in aqueous humor than in plasma:
1. Protein
2. Glucose
3. Urea
4. Ascorbic acid

Correct answer: 4. Ascorbic acid

Explanation: Refer : Anatomy and Physiology of Eye – AK Khurana pg 59
Concentration of components in plasma and aqueous humour